A lady with 37 weeks pregnancy, presented with bleeding per vagina. Investigation shows severe degree of placenta previa. The treatement is:
1. Immediate C.S.
2. Blood transfusion
3. Conservative
4. Medical induction of labour

Correct answer: 1. Immediate C.S.

Explanation: As Explained in the previous question– Patient presenting with bleeding, at 37 weeks of gestation with central placenta previa, management should be immediate emergency cesarean section.